Viral HIV integrase inhibitor is :
1. Zidovudine
2. Maroviroc
3. Raltegravir
4. Enfuvirtide

Correct answer: 3. Raltegravir